Most common site for minor salivary glands tumor is:
1. Lip
2. Floor of oral mucosa
3. Hard palate
4. Gingivolabial folds

Correct answer: 3. Hard palate